Diene’s method is used for :
1. Mycoplasma
2. Chlamydiae
3. Plague
4. Diptheria

Correct answer: 1. Mycoplasma

Explanation: • Colonies of mycoplasma are typically biphasic, with a fried egg appearance. 
• Colonies are best studied after staining by Dienes method .